Major contribution in the formation of nasal septum is by all except ?
1. Septal cartilage
2. Vomer
3. Ethmoid
4. Nasal bone

Correct answer: 4. Nasal bone

Explanation: Ans. is 'd' i.e., Nasal bone The medial wall, or nasal septum, is formed (from anteiror to posterior) by : (1) the septal cartilage (destroyed in a dried skull) (2) the perpendicular plate of the ethmoid bone, and (3) the vomer . It is usually deviated to one side. The vomer contributes to the inferior portion of the nasal septum; the perpendicular plate of the ethmoid bone contributes to the superior portion.